Complete wound strength is gained by?
1. Never regained
2. 1 month
3. 6 months
4. 1 year

Correct answer: 1. Never regained

Explanation: Wound Strength Carefully sutured wounds have approximately 70% of the strength of normal skin When sutures are removed, usually at 1 week, wound strength is approximately 10% of that of unwounded skin this increases rapidly over the next 4 weeks Wound strength reaches approximately 70% to 80% of normal by 3 month never regain 100% strength ref:-basic pathology, Robbins 9th ed, page 72